Which of the following is an example of non Mendelian inheritance
1. Genomic imprinting
2. Uniparental disomy
3. Mitochondrial inheritance
4. All the above

Correct answer: 4. All the above

Explanation: ref Robbins 8/e p167,9/e p168 No Mendelian inheritance can be classified into following categories Trinucleotide repeat mutation Mitochondrial gene mutation Genomic imprinting Gonadalmosaicism